Persistant pupillary membrane originates from
1. Collarete
2. Around pupil
3. Angle of anterior chamber
4. Root of iris

Correct answer: 1. Collarete

Explanation: Persistant pupillary membrane

Developmental abnormality of iris.
Starts at iris collarette (thickest part of iris).